A male patient had blunt rauma to left side abdomen. How would you assess for the kidney injury if patient is hemodynamically stable
1. USG
2. CT scan
3. X-ray
4. MRI

Correct answer: 2. CT scan

Explanation: Answer- B. CT scanStable patientComputed tomography has replaced intravenous urography as the primary modality for the assessment of suspected renal injuries. The investigation of choice is the multiphase, double - or triple-contrast CT scan, but this can misgrade the renal injury.More commonly, however, it does allow grading of renal injuries, ald forms the basis for non-operative treatment, possibly up to, and inclusive of, non-vascular grade IV injuries and blunt renal artery thrombosis.